Bull's eye type of radiologic feature is seen in:
1. Erythema multiforme
2. Lingual impaction of 3rd molar
3. Ameloblastoma
4. None of the above

Correct answer: 2. Lingual impaction of 3rd molar

Explanation: Bull's eye lesions are important clinical feature of erythema multiformae.